A 34 yr old woman comes to OPD complaining of abnormal uterine bleeding . Which of the following is the LEAST likely reason for abnormal bleeding in her age?
1. Adenomyosis
2. Fibroids
3. Endometrial atrophy
4. Polyps

Correct answer: 3. Endometrial atrophy

Explanation: INFANCY PREPUBERTAL ADOLESCENT REPRODUCTIVE PERIMENOPAUSAL POSTMENOPAUSAL maternal estrogen withdrawl vulvovaginitis anovulation exogenous hormone anovulation atrophy foreign body exogenous hormone use pregnancy fibroids endometrial polyp precocius puberty pregnancy anovulation cervical and endometrial polyp gynaecological cancer tumour coagulopathy fibroids thyroid dysfunction HRT cervical and endometrial polyp thyroid dysfunction Atrophy is the usually a reason for AUB in Post Menopausal woman